NK cells express-
1. CD 15, CD 55
2. CD16, CD56
3. CD 16,CD 57
4. CD21 CD 66

Correct answer: 2. CD16, CD56

Explanation: Harshmohan textbook of pathology 7th edition. NK cells carries surface molecules of CD2, CD16, CD56..